Which of the following is a zoonotic disease ?
1. Hydatid cyst
2. Malaria
3. Filariasis
4. dengue fever

Correct answer: 1. Hydatid cyst

Explanation: Ans. is 'a' i.e., Hydatid cyst Important zoonoses I. Bacterial -4 Anthrax, Brucellosis, Ornithoses, Q-fever, Leptospirosis, TB, Plague, Tularemia, Salmonellosis. 2. Viral --> Cowpox, Monkeypox, Easternequine, encephalitis, Ross river fever, Yellow fever, Japanese encephalitis, Lassa fever, Rabies. 3. Protozoal ---> Leishmaniasis, Toxoplasmosis, Trypanosomiasis, Babesiosis. 4. Helminthic ----> Clonorchiasis, Fasciolopsis, Schistosomiasis, Echinococus (hydatid disease), Taeniasis, Trichinellosis.